The time for molecular death in kidney is
1. 5 minutes
2. 15 minutes
3. 45 minutes
4. After 1 hour

Correct answer: 3. 45 minutes

Explanation: Brain is the first organ to die- within 5 minutes. Liver 15 mints, kidney 45 mints, heart 60 mints. Ref: FORENSIC MEDICINE AND TOXICOLOGY DR PC IGNATIUS THIRD EDITION PAGE 18